The triad of diverticulosis, gall stones and hiatus hernia is termed as:
1. Saint's triad
2. Beck's triad
3. Whipple's triad
4. Murphy's triad

Correct answer: 1. Saint's triad

Explanation: Ans: A (Saint's triad) Ref: Sabiston Textbook of Surgery, 19th Edition, pg. 951Explanation:Saint's TriadDiverticulosisGail stonesHiatus herniaWhipple's TriadSeen in insulinoma ( most common functioning tumor of the endocrine pancreas).Fasting-induced neuroglyopenic symptoms of hypoglycemia (diaphoresis, shaking, mental confusion, obtundation and seizures).Low blood glucose levels (40 to 50 mg/dl).Relief of symptoms after the administration of glucose.Beck's TriadSeen in cardiac tamponadeHypotensionSoft or absent heart soundsJugular venous distention (increased JVP)Murphy's TriadSeen in acute appendicitisPainFeverVomitingMurphy's SignRight upper quadrant tenderness exacerbated during inspirationCharcot' TriadSeen in cholangitisPainJaundiceFeverReynold's PentadSeen in severe cholangitis. Charcot's triad withShockMental obtundation